Psoriasis is associated with:
1. Geographic tongue
2. Benign median rhomboid glossitis
3. Lupus erythematosus
4. Lupus vulgaris

Correct answer: 1. Geographic tongue